Shingles is the other name for ?
1. Herpes simplex
2. Varicella?zoster
3. Herpes Zoster
4. Herpes labialis

Correct answer: 3. Herpes Zoster

Explanation: Ans. is 'c' i.e., Herpes Zoster Herpes zoster is also referred to as shingles.